Which of the following organisms is most commonly associated with breast abscess?
1. Staphylococcus Aureus
2. Pseudomonas
3. Propionobacterium Acnes
4. Staphylococcus Epidermidis

Correct answer: 1. Staphylococcus Aureus

Explanation: Ans. is 'a' i.e., Staphylococcus Aureus o Staphylocccus Aureus is the most common organism associated with Mastitis and Breast Abscess.o Staphylococcus epidermidis is part of normal skin flora, but is not a common cause of mastitis. Pseudomonas is a more common pathogen of the respiratory or urinary tract. Propionobacterium acnes is the bacteria most commonly associated with acne.